UV light causes mutation in cells by
1. Formation of pyrimidine dimers
2. Ionisation of molecules
3. Double stranded DNA break
4. Chromosomal instability

Correct answer: 1. Formation of pyrimidine dimers